Peripheral neuropathy is caused by:
1. Colchicine
2. Isoniazid
3. Nitrofurantoin
4. All of the above

Correct answer: 4. All of the above

Explanation: All of the above